Primary healing of a mandibular fracture is seen following fixation with:
1. Gunning splints
2. Compression plates
3. Trans-osseous wires
4. Clampy plates

Correct answer: 2. Compression plates